In which off the follwing age group myelodysplastic syndromes (MDS) are most common -
1. 2-10.
2. 15-20
3. 25-40
4. > 50 years

Correct answer: 4. > 50 years